Circumcision is contraindicated in:
1. Phimosis
2. Ballooning of prepuce
3. Hypospadias
4. Ca penis

Correct answer: 3. Hypospadias

Explanation: Ans: C (Hypospadias) Ref: Bailey and Love's Short Practice of Surgery 25th EditionExplanation:"Most of the procedures for hypospadias make use of prepuceal skin and so circumcision should be avoided until repair is done."Contraindications for CircumcisionIn infants with certain genital structure abnormalitiesMisplaced urethral opening (as in hypospadias and epispadias)Curvature of the head of the penis (chordee)Ambiguous genitaliaThis is because the foreskin may be needed for reconstructive surgery.Circumcision is also avoided in:Premature infantsClinically unstable infantsUndiagnosed bleeding conditions